In achondroplasia mutation occurs in which of the following gene:
1. FGFR3
2. FGFR2.
3. FGFR1.
4. FGFR6.

Correct answer: 1. FGFR3